One standard deviation in normal standard curve includes value-
1. 50%
2. 68%
3. 95%
4. 100%

Correct answer: 2. 68%

Explanation: Ans. is 'b' i.e., 68% orT 1 SD includes ----> 68% of values orT 2 SD includes ----> 95% of values orT 3 SD includes ----> 99.7% of values